Apolipoprotein B-48 made by?
1. RNA alternat splicing
2. RNA editing
3. DNA editing
4. RNA interference

Correct answer: 2. RNA editing

Explanation: In liver cell, Apo B 100 gene gives rise to Apo B 100 protein. ButApo B 48 proteinis made inintestinal cellsfrom the gene encoding Apo B 100, by the process ofRNA editing, which is also known as Differential RNA processing or chemical modification of RNA. This is apost transcriptional modification. OTHER OPTIONS: OPTION A:RNA splicing is also a post transcriptional modification but this is removal of introns. OPTION D:RNA interference is silencing technique where the gene is silenced by not letting the product of gene formed. Translocation occurs during translation. This is movement of ribosome over mRNA.